Which of the following is true regrading spinal cord and neuraxial blockade
1. Spinal cord ends at S1 in adults
2. Spinal anaesthesia is given below L3 level in children
3. Dural sac extends upto S2 in children
4. Spinal cord ends at lower border of L1 in children

Correct answer: 2. Spinal anaesthesia is given below L3 level in children

Explanation: Spinal cord ends at upper border of L3 in children , and at lower border of L1 in adults. The dural sac extends upto S3 in children and S2 in adults.